The most common source of embolism:
1. DVT
2. Trauma
3. Infection
4. Surgery

Correct answer: 1. DVT

Explanation: Ans. (a) DVT(Ref: Robbins 9th/pg 127; 8th/pg 126)MC cause of venous embolism is DVTMost arise in the deep leg veins above the level of the knee. Q